The most common benign tumor of the lung is -
1. Hamartoma
2. Alveolar adenoma
3. Teratoma
4. Fibroma

Correct answer: 1. Hamartoma